A client is diagnosed with chronic renal failure and told she must start hemodialysis. Client teaching would include which of the following instructions?
1. Follow a high potassium diet
2. Strictly follow the hemodialysis schedule
3. There will be a few changes in your lifestyle
4. Use alcohol on the skin and clean it due to integumentary changes.

Correct answer: 2. Strictly follow the hemodialysis schedule

Explanation: To prevent life-threatening complications, the client must follow the dialysis schedule.

Option A: The client should follow a low-potassium diet because potassium levels increase in chronic renal failure.
Option C: The client should know hemodialysis is time-consuming and will definitely cause a change in the current lifestyle.
Option D: Alcohol would further dry the client’s skin more than it already is.